Cocospinal tract lesion leads to:
1. Spaticity
2. Extensor plantar response
3. Exaggerated tendon reflexes
4. All

Correct answer: 4. All

Explanation: A, B, C i.e. Spaticity, Extensor plantar response, Exaggerated tendon reflexes